Squamous cell carcinomas of the esophagus most commonly occur
1. At the GEJ
2. Middle 1/3rd
3. In the lower thoracic esophagus
4. Evenly distributed throughout the esophagus

Correct answer: 2. Middle 1/3rd

Explanation: - MC type of CA Esophagus World Wide - Squamous cell carcinoma- MC type of CA in western countries - Adenocarcinoma- MC site of Squamous cell carcinoma - Middle 1/3rd- MC site of Adenocarcinoma - Lower 1/3rd- MC site of CA Esophagus overall - Middle 1/3rd- SCC - more common in low socio-economic status- Adenocarcinoma - more common in high socio-economic status